Corneal ulcer leads to?
1. Anterior staphyloma
2. Posterior staphyloma
3. Lenticomus
4. Keratoconus

Correct answer: 1. Anterior staphyloma

Explanation: Ans. (a) Anterior staphylomaRef: Khurana 4/e, p 510